Potato nodes are feature of?
1. Sarcoidosis
2. Tuberculosis
3. Carcinoid
4. Lymphoma

Correct answer: 1. Sarcoidosis

Explanation: ANSWER: (A) SarcoidosisREF: Chest radiology: the essentials By Jannette Collins, Eric J. Stern, page 165, http://medical- dictionary.thefreedictionary.com/potato+node* Sarcoidosis is a systemic disease characterized by non-caseating granulomas in multiple organs.* In 90% of cases, Symmetrical massive bilateral hilar lymphadenopathy clear or the cardiac border ("potato nodes") or lung involvement is present and can be revealed by chest x-ray or Trans-bronchial biopsy.* The eye and skin are the next most commonly affected organs, so that both Conjunctival and skin biopsies are clinical possibilities.* Sarcoidosis is not caused by any known organism. Therefore, before the diagnosis of Sarcoidosis can be made, cultures must be taken from affected tissues, and there must be no growth of any organism that may produce granulomas. In patients with Sarcoidosis, blood levels of angiotensin-converting enzyme are increased, and this may also be used as a clinical test.* In the past, the Kveim skin test was used to assist in the diagnosis of Sarcoidosis, but since it involves injecting into patients extracts of material from humans, it is no longer used.Note: Don't get confuse with 'cut potato appearance'of lymphoma